Active ingredient of marking nut is -
1. Semecarpol
2. Crotin
3. Abrin
4. None

Correct answer: 1. Semecarpol

Explanation: Marking Nut Botanical name: Semicarpus anacardium Common name: Marking nut, bhilawa, biba Toxic Principle * Semecarpol * Bhilawanol REF;THE SYNOPSIS OF FORENSIC MEDICINE:KS NARAYANA REDDY;28th EDITION;PAGE NO317